Which of the following is not an amino steroid derivative –
1. Alcuronium
2. Vecuronium
3. Pancuronium
4. Pipecuronium

Correct answer: 1. Alcuronium

Explanation: Vecuronium, Pancuronium, Pipecuronium are aminosteroids. Alcuronium is benzylisoquinolone.